True about tetanus are all EXCEPT?
1. Tetanus bacilli cannot spread through blood
2. Spread along the nerves
3. Requires oxygen
4. Incubation period is variable

Correct answer: 3. Requires oxygen

Explanation: Option a True Tetanus bacillus is not an invasive organism Option b True Tetanus toxin binds at neuromuscular junction & enters motor nerve by endocytosis, after which it undergoes retrograde axonal transport to cytoplasm of neuron Option c False Clostridium tetani, is a motile, Gram-positive, spore-forming obligate anaerobe Option d True The incubation period of tetanus is typically is 2-14 days but may be as long as months after the injury.